Bankart’s lesion involves the___________ of the glenoid labrum
1. Anterior lip
2. Antero-inferior lip
3. Antero-superior lip
4. Superior lip

Correct answer: 2. Antero-inferior lip

Explanation: Bankart's lesion is seen in the anterior dislocation of the shoulder joint. Dislocation causes stripping of glenoid labrum along with periosteum from the anteroinferior surface of the glenoid and scapular neck. 
The head of the humerus comes to lie in front of scapular neck, in pouch thereby created. 
In severe injuries, it may be avulsion of a piece of bone from the anteroinferior glenoid rim, called bony Bankart's lesion. Other pathological changes are Hill-Sachs lesion, rounding off.